Most common cause of Pseudomyxoma Peritonei is
1. Mucinous tumour of appendix
2. Ovarian tumour
3. Colorectal carcinoma
4. None of the above

Correct answer: 1. Mucinous tumour of appendix

Explanation: Most common cause of Pseudomyxoma Peritonei is mucinoous tumour of appendix > mucinous tumour of ovary.